In right-handed person, Direct Laryngoscope is held by which hand
1. Left
2. Right
3. Both
4. Either of these

Correct answer: 1. Left

Explanation: The laryngoscope is held by the handle in the left hand. Right hand is used to retract the lips and guide the laryngoscope and to handle suction and instruments Re: Textbook of Ear, Nose and Throat, Dhingra, 6th Edition; Pg no: 422